Knuckle bender splint is used for:
1. Ulnar nerve palsy
2. Radial nerve palsy
3. Median nerve palsy
4. Axillary nerve palsy

Correct answer: 1. Ulnar nerve palsy

Explanation: Ans. A: Ulnar Nerve Palsy